Buspirone is an
1. Anti psychotic
2. Anti anxiolitic
3. Anti depressant
4. Anti hypertensive

Correct answer: 2. Anti anxiolitic

Explanation: (B) Anti anxiolitic> Buspirone is an anxiolytic psychoactive drug of the azapirone chemical class, and is primarily used to treat generalized anxiety disorder (GAD).